Resource person for Training ofASHA are
1. AWW and MPW
2. AWW and ANM
3. MPW and ANM
4. ANM and MO

Correct answer: 2. AWW and ANM

Explanation: Ans. is 'b i.e., AWW and ANM o Angan-Wadi Workers (AWW) and Auxiliary Nurse Midwife (ANM) act as resource persons far training of ASHA (Accredited Social Health Activist).